Ovulation coincides with:
1. High estrogen & high progesterone
2. LH surge
3. Low estrogen & high progesterone
4. Progesterone peak

Correct answer: 2. LH surge

Explanation: LH surge